Administration of all the following will provide uterine relaxation, except
1. Sevoflurane
2. Nitrous oxide
3. Nitroglycerine
4. Terbutaine

Correct answer: 2. Nitrous oxide

Explanation: Nitrous oxide does not change uterine contractility in doses provided during delivery.